Neoplasm associated with Waldenstorm's macro- globulinemia also called as:
1. Smoldering myeloma
2. Primary CNS lymphoma
3. Lympho plasmacytic lymphoma
4. MGUS (Mono gammopathy of undetermined significance)

Correct answer: 3. Lympho plasmacytic lymphoma

Explanation: Ref: Harrison's Principles of Internal Medicine, 18th edition, pg 942, 943, 940, 3387Explanation:Waldenstorms macroglohulinemia is a malignancy of lymphoplamsmacytoid cells that secrete IgMAssociated with lymphadenopathy, hepatosplenomegaly, hy perv i scos styNo bony lesions/renal disease like IgM myelomaElderly agePeripheral neuropathy. anti-MAG( Myelin associated glycoprotein) antibody positiveCryoglobulins positive in some. CD 138+Treatment- Plasmapheresis for hyperviscosity, fludarabine, cladrihine. rituximab. lenalidomide. bortezomib. bendamustineSmoldering myeloma:Serum M protein> 30g/L & bone marrow plasma cells >10%No myeloma related organ damageNo treatment neededMay progress to multiple myelomMGUS:M protein <30g/LBone marrow plasma cells < 10%No bony lesions or target tissue damage (CRAB- Hypercalcemia, renal failure, anemia, bony lesions)25% may transform into multiple myeloma (1% per yr)Primary CNS lymphoma:Type of non -Hodgkin's lymphoma (large B- cell)Seen commonly in HIV patients; CD4 < 50Associated w ith EBVDiffuse enhancing lesion on contrast CTT real men t-met ho trxate .Chemotherapy. radiotherapy, rituximab, HAART